Low calcium level will cause:
1. Hyper excitability of wrist muscle
2. Weak heart action
3. Tetany
4. All of the above

Correct answer: 4. All of the above